Antiviral drug amantadine is approved for:
1. Achizophrenia
2. Depression
3. Alzheimer's disease
4. Parkinsonism

Correct answer: 4. Parkinsonism

Explanation: (Ref: Katzung, 14th ed. pg. 501)* Amantadine is an antiviral for Influenza A. It has been approved for treatment for Parkinson disease as well.* Best for early stage PD or if patient not responding to L-Dopa* Mechanism of action* Facilitate DA release from presynaptic dopaminergic neuron and also Prevents DA uptake* Side effect: Confusion, Hallucination, Ankle edema, Livido reticularis